The serum concentration of which of the following human IgG subclass is maximum ?
1. IgG 1
2. IgG 2
3. IgG 3
4. IgG 4

Correct answer: 1. IgG 1

Explanation: IgG has four subclasses: IgG1, IgG2, IgG3 and IgG4 due to the presence of gamma1, gamma2, gamma3 or gamma4 H chains. - the subclasses differ from one another in the size of the hinge region and the number and position of the interchain disulfide bonds between the heavy chains. - IgG1 is distributed in human serum in the approximate proportion of 65%, IgG2 in 23%, IgG3 in 8% and IgG4 in 4 %. Reference:Anathanarayan & paniker's 9th edition, pg no: 97